Best test to see capsule of Cryptococcus neoformans in a sample of CSF:
1. Gram staining.
2. Giemsa staining.
3. Indian ink.
4. Methylene blue.

Correct answer: 3. Indian ink.

Explanation: Indian ink smear remains the method of choice for detecting cryptococcus in CSF.